Enzyme raised in myopathies is
1. CPK
2. SGOT
3. SGPT
4. AST

Correct answer: 1. CPK

Explanation: Ans. a (CPK), (Ref. Harrison, Principles of Medicine, 18th/Chapter 246.)# CPK is raised in many myopathies and in AMI.